Which of the following is not a cause of PEA (Pulseless Electrical Activity)?
1. Low pO2 < 60mm Hg
2. Hydrogen ion depletion
3. Hypokalemia
4. Hypovolemia

Correct answer: 2. Hydrogen ion depletion

Explanation: The 5 H and 5 T of pulseless electrical activity - PEA implies that electrical activity is seen on ECG but the pulse is absent. The leading cause of PEA is hypoxia secondary to respiratory failure (40-50% cases) and hypovolemia. Hydrogen ion depletion implies alkalosis whereas PEA occurs with acidosis. H Hypovolemia Hypoxia Hydrogen Ion (acidosis) Hypo / Hyperkalemia Hypothermia T Toxins Tamponade Tension Pneumothorax Thrombosis (heart: acute, massive MI) Thrombosis (lungs: massive PEE)